"Magical thinking" is seen in
1. Schizoid personality disorder
2. Schizotypal personality disorder
3. Histrionic personality disorder
4. Narcisstic personality disorder

Correct answer: 2. Schizotypal personality disorder

Explanation: Patients with schizotypal personality disorder will have odd & eccentric thoughts & magical thining, that is he believes that his thinking can influence external world.